Organisms with characteristic "school of fish" appearance in stained smears is seen in:
1. Granuloma inguinale
2. Chancroid
3. Lymphogranuloma venereum
4. Herpes genitalis

Correct answer: 2. Chancroid

Explanation: Haemophilus ducreyi produce "school of fish" appearance.